Not an indication for blood transfusion
1. Severe anemia at 36 weeks
2. Moderate anemia at 24-30 weeks
3. Blood loss anemia
4. Refractory anemia

Correct answer: 2. Moderate anemia at 24-30 weeks

Explanation: Indications for Blood Transfusion To correct anemia due to blood loss and to combat postpartum hemorrhage Patient with severe anemia seen in later months of pregnancy (beyond 36 weeks) Refractory anemia: Anemia not responding to either oral or parenteral therapy in spite of correct treatment Associated infection Reference: Textbook of Obstertics; Sheila balakrishnan; 2nd edition; Page no: 288